Primary hyperaldosteronism presents with all of the following except-
1. Hypertension
2. Hyperkalemia
3. Periodic paralysis
4. Frontal headache

Correct answer: 2. Hyperkalemia

Explanation: there is potassium depletion causing hypokalemia ( Harrison 17 pg2260)